Association of sexual precocity, multiple cystic bone lesions and endocrinopathies are seen in:
1. McCune-Albright's syndrome
2. Granulosa cell tumor
3. Androblastoma
4. Hepatoblastoma

Correct answer: 1. McCune-Albright's syndrome

Explanation: a. McCune-Albright's syndrome(Ref: Nelson's 20/e p 2660, Chai 8/e p 532)McCune-Albright's syndrome is characterized by:Cafe-au-lait spotsPrecocious pubertyPolycystic fibrous dysplasia of skeletonEndocrinopathy-Hypothyroidism